Sudden onset of massive bleeding from which organorgan is called apoplexy
1. Kidney
2. Lungs
3. Heart
4. Brain

Correct answer: 4. Brain

Explanation: Intracerebral hemorrhage Intraventricular bleed occurs in all types of severe head injury. CSF may be blood stained by the leakage of the subarachnoid hemorrhage through the foramen of Magendi. Bleeding may also occur from the choroid plexus or venues on septum pellucidum. Sudden onset of massive bleeding in the brain is called apoplexy. ref: FORENSIC MEDICINE AND TOXICOLOGY Dr PC IGNATIUS THIRD EDITION PAGE 176